Most sensitive nerve fiber to hypoxia
1. A
2. B
3. C
4. All are equally sensitive

Correct answer: 2. B

Explanation: Question repeated